Winging of scapula is due to paralysis of....nerve-
1. Long thoracic
2. Axillary
3. Radial
4. Median

Correct answer: 1. Long thoracic

Explanation: Ans. is 'a' i.e., Long thoracic Nerve damagedEffect of lesionUpper trunk of brachial plexus (Erb's palsy)Policeman's tip hand or Porter's tip handLower trunk of brachial pexus (Klumpke's palsy)Claw hand, Homer's syndromeLong thoracic nerveWinged scapulaMedianPointing index, Ape thumb (simian thumb)UlnarClaw hand (ulnar claw hand)Median + ulnarClaw hand (complete claw hand)RadialWrist drop